In which of the following disorders, administration of barbiturates is contraindicated?
1. Anxiety disorders
2. Acute intermittent porphyria
3. Kernicterus
4. Refractory status epilepticus

Correct answer: 2. Acute intermittent porphyria

Explanation: Ans. (B) Acute intermittent porphyria(Ref: KDT 8/e p427)Barbiturates induce the rate limiting enzyme 'd-aminolaevulanic acid synthase' in porphyrin synthesis. This increased synthesis of porphyrins can precipitate acute attack of AIP.